Ocular findings in AIDS are all except
1. > 50% of patients have cotton wool spots
2. Kaposi sarcoma of eyelids
3. Roth spots
4. Cotton wool spots harbours CMV

Correct answer: 4. Cotton wool spots harbours CMV

Explanation: Answer- D. Cotton wool spots harbours CMVOcular findings in AIDSOcular manifestations of AIDS may be seen in up to 70-90% of patients.Most common are cotton wool spots, CMV retinitis and conjunctival/eyelid kaposi sarcoma.SO-7O% of HlV-infected patients develop HIV retinopathy which has following findings:1) Cotton-wool spots (most common)Intraretinal hemorrhagesRoth spotsRetinal microaneurysms